A 67-year-old smoker is brought to the ER with severe abdominal pain and hypotension. He has a h/o hypertension, asthma and type-2 DM. He currently takes Lisinopril and Metformin. O/E- HR: 100 bpm, BP is 100/60mmHg, S1 & S2- normal, chest- clear. Which of the following risk factors is most likely to have contributed to the development of his underlying condition?
1. Hypertension
2. Smoking
3. Diabetes
4. Family history of cardiovascular disease

Correct answer: 2. Smoking

Explanation: This is case of atherosclerosis with Abdominal Aorta Aneurysm If Aneurysm ruptures - Abdominal pain & we know smoking is biggest risk factor of developing atherosclerosis.